Large PDA leads to -
1. Endocardial valvulitis
2. Eisenmenger syndrome
3. CHF
4. All of above

Correct answer: 4. All of above

Explanation: Ans. is 'd' i.e., AH of above Patent ductus arteriosus (PDA)o Small PDA may not cause any complication but targe defect if untread may leads to :Pulmonary hypertension Left to Right shunt leads to too much circulation of blood in lung which leads to pulmonary hypertension.Eisenmenger's syndrome - Large standing pulmonary hypertension leads to permanent lung damage and causes Right to Left shunt.Endocarditis.Arrhythmia Enlargement of heart due to PDA increase risk of arrhythmias.